Which is a pneumatic bones:
1. Clavicle
2. Maxilla
3. Humerus
4. Femur

Correct answer: 2. Maxilla

Explanation: Ans: B i.e. MaxillaCeain irregular bone contains large air spaces lined by epithelium. Examples: maxilla, sphenoid, ethmoid etc.